D1C is common in which AML-
1. Monocytic (M5)
2. Promyelocytic (M3)
3. Erythrocytic (M6)
4. Megakaryocytic (M7)

Correct answer: 2. Promyelocytic (M3)

Explanation: Ans. (b) Promyelocytic (M3)(Ref: Robbins 9th/pg 612; 8th/pg 622)Acute Promyelocytic Leukemic (APML, M3) cells can induce Disseminated intravascular coagulation (DIC)